Height of a newborn doubles at:
1. 1 year
2. 2 year
3. 3 year
4. 4 year

Correct answer: 4. 4 year

Explanation: Ans. D: 4 year In general, length in normal term infants increases about 30% by 5 months and > 50% by 12 months; infants grow 25 cm during the 1st yr; and height at 4 yr is about double birth length.